The child , Makes tower of 9 cubes at age of ____________
1. 24 months
2. 30 months
3. 36 months
4. 48 months

Correct answer: 2. 30 months

Explanation: Emerging patterns of Adaptive milestones from 1-5years of age 15months Makes a tower of 3 cubes Makes a line with a crayon Inserts raisin in a bottle 18months Makes a tower of 4 cubes Imitates scribbling Imitates vertical stroke Dumps raisin from a bottle 24months Makes a tower of 7 cubes (6 at 21 mo) Scribbles in a circular pattern Imitates horizontal stroke Folds paper once imitatively 30months Makes a tower of 9 cubes Makes vertical and horizontal strokes, but generally will not join them to make cross Imitates circular stroke, forming a closed figure 36months Makes a tower of 10 cubes Imitates construction of "bridge" of 3 cubes Copies circle Imitates cross 48months Copies bridge from model Imitates construction of "gate" of 5 cubes Copies cross and square Draws man with 2-4 parts besides the head Identifies longer of 2 lines 60months Draws a triangle from copy Names heavier of 2 weights Ref: Nelson paediatrics; Table 11-1